Not a complication of fracture neck of femur ?
1. Non-union
2. Malunion
3. AVN
4. Osteoarthritis

Correct answer: 2. Malunion

Explanation: Ans. is 'b' i.e., Malunion Complications of femoral neck fracture Fractures of the neck of the femur are more prone to serious complications than in any other fracture. All the complications affect fractures with displacement rather than impacted abducted (valgus impacted) fractures. The important complications are : 1) Avascular necrosis of femoral head AVN is the most common complication of femoral neck fracture. It occurs in 15-35% of cases of displaced fractures and 2) Non-union Non-union is the second most common complication of femoral neck fracture. It occurs in 10-30% of cases of displaced fractures and 3) Secondary osteoarthritis It occurs a few years following fracture neck femur. Avascular necrosis or collapse of femoral head leads to secondary osteoarthritis of the hip joint.